Renal vein thrombosis (RVT) may be seen in :
1. Trauma
2. Renal Cell Ca
3. Pregnancy
4. All

Correct answer: 4. All

Explanation: Answer is A,B,C (All of the above) Trauma, Renal Cell Ca, Pregnancy, Nephrotic Syndrome and Dehydration can all be associated with Renal Vein Thrombosis Conditions associated with Renal Vein Thrombosis : Extrinsic compression (lymph nodes, aortic aneurysm, tumor) Invasion by renal cell carcinoma Dehydration (infants) Nephrotic syndrome Pregnancy or oral contraceptives